Renshaw cell inhibition is an example for
1. Feedback inhibition
2. Feed forward inhibition
3. Direct inhibition
4. None of the above

Correct answer: 1. Feedback inhibition

Explanation: Renshaw cell inhibition is an example of Feedback or Recurrent inhibition.
Impulses generated in the motor neuron activates inhibitory interneuron to secrete inhibitory mediators and this stops the discharge of motor neuron.